Which of the following is the first sign of puberty in girls?
1. Pubarche
2. Thelarche
3. Menarche
4. Growth spurt

Correct answer: 2. Thelarche

Explanation: Ans. b (Thelarche) (Ref OP Ghai 7th/498)PATTERNS OF PUBERTAL DEVELOPMENT# Girls:- Starts at around the age of 10 yrs- Completes in 5 yrs- Sequence is = TPM (Thelarche -Pubarche -Menarche).- Menarche usually 2.5 yrs after thelarche.# Boys:- Puberty starts at 11.5 yrsSequence is = TPPS (Testicular enlargement -Penile enlargement -Pubarche - Spermarche).